Area under standard normal distribution curve is
1. 1
2. 0.5
3. 5
4. 2

Correct answer: 1. 1

Explanation: Standard normal distribution curve has :

Area under the curve = 1.
Has variance = 1.
Mean = median = mode.
Mean = 0
Standard deviation = 1.